Which of the following is the national level system that provides annual national as well as state level reliable estimation of fertility and mortality -
1. Civil registration system
2. Census
3. Adhoc survey
4. Sample registration system

Correct answer: 4. Sample registration system